Most common cause of acute tonsilitis ?
1. Streptococcus pneumoniae
2. H. Influenza
3. 13- hemolytic streptococci
4. Staphylococcus aureus

Correct answer: 3. 13- hemolytic streptococci

Explanation: Ans. is 'c' i.e., 13- hemolytic streptococci Tonsils frequently serve as the site of acute infection, which causes acute tonsillitis. Tonsillitis is particularly common in children, especially in school going age group. However, it can occur in adult also. Virus initiates an acute tonsillitis attack and predisposes to bacterial infection. 8-hemolytic streptococcus is the most common organism causing acute tonsillitis. Other bacteria causing acute tonsillitis are staphylococcus, hemophilus and pneumococcus.